Datura seeds resemble -
1. Ricinus communis
2. Capsicum
3. Opium
4. None

Correct answer: 2. Capsicum

Explanation: ↵The seeds of datura closely resemble those of the capsicum universally used over India as a condiment, and the difficulty of their detection is enhanced by the fact that, apart from the bitterness, the poison-seeds have little taste and as impure salt is generally used in India.